True about articular cartilage
1. Is a type of elastic cartilage
2. Is hyaline cartilage on the articular surface of bones
3. Is type 1 cartilage providing compressive strength
4. Is hyaline cartilage found in growth plate of bones

Correct answer: 2. Is hyaline cartilage on the articular surface of bones

Explanation: Articular cartilage hyaline cartilage (type 2 collagen) found on articular surface of bones. The average thickness -1.5-3 mm.